Tripod fracture is
1. Displaced fracture of calcaneum
2. Zygomatiomaxillary fracture
3. Sphenoid Wing Fracture
4. Coronal shear pilon Fracture

Correct answer: 2. Zygomatiomaxillary fracture

Explanation: Zygomaticomaxillary complex (ZMC) fractures, also known as a tripod, tetrapod, quadripod, malar or trimalar fractus, are seen in the setting of traumatic injury to the face. They comprise fractures of the:Zygomatic archInferior orbital rim, and anterior and posterior maxillary sinus wallsLateral orbital rim(Refer: Mohindra's Fundamentals of Orthopedics, 2nd edition, pg no. 109)